A 50 years old male presents with massive spleenomegaly. His differential diagnosis will include, except -
1. CML
2. Polycythemia vera
3. Hairy cell leukemia
4. Aplastic anemia

Correct answer: 4. Aplastic anemia

Explanation: In aplastic anaemia the lymph nodes,liver and spleen are generally not enlarged. Reference textbook of Pathology 7th edition author Harsha Mohan page number 302 in clinical features.